Morbilliform eruptions is seen in – a) Scarlet feverb) Rubellac) Toxic shock syndromed)  Measlese) Mumps
1. c
2. bd
3. ab
4. ac

Correct answer: 2. bd

Explanation: Viral infections causing nzorbilhform eruptions are measles, rubella, erythema infectiosum, EBV, CMV, adenovirus, echovirus, early HIV, coxasackie virus.
Scarlet fever and toxic shock syndrome cause scarlatiniform eruption.